Which of the following act on both Her-1 and Her-2 receptors -
1. Imatinib
2. Erlotinib
3. Lapatinib
4. Gefitinib

Correct answer: 3. Lapatinib

Explanation: Ans. is 'c' i.e., Lapatinib